Lalu prasad 45 yrs old male presents to OPD with complaining about the continuous non-progresive headache from last 7 days. He believes that he has a brain tumor. for that, there is he consulting many neurologists in past even all of the investigation have been within normal limits. The patient requested for other investigation to reveal that he has a brain tumor. The psychiatric evaluation shows the disease on the background of a normal investigation. The most probable diagnosis is -
1. Hypochondriasis
2. Somatization disorder
3. Somatoforrn pain disorder
4. Conversion disorder

Correct answer: 1. Hypochondriasis

Explanation: Information in this question is:-


Preoccupation with the fear of serious illness (cancer)
Preoccupation is due to misinterpretation of bodily physiological response (headache as cancer)
Consulting many doctors (neurologists)
Multiple normal investigations with a request for further investigations.


Diagnosis is hypochondriasis.